Aberrant thyroid tissue may be found in all except:
1. Lingual thyroid
2. Thyroglossal ectopic thyroid
3. Struma ovarii
4. None

Correct answer: 4. None

Explanation: Usually there are 3 places where aberrant thyroid tissues may be formed:
i) Lingual thyroid.
ii) Thyroglossal ectopic thyroid.
iii) Struma Ovarii
Struma Ovarii is an ovarian teratoma in which thyroid tissue may be present. It is malignant.